Oncogenes can be best studied by-
1. Transfection
2. Transduction
3. Transformation
4. Conjugation

Correct answer: 1. Transfection

Explanation: Ans. is 'a' i.e., Transfection "A useful method for the study of oncogenes is transfection * -- Ananthanarayan